The protein found in the amyloid deposits in senile systemic amyloidosis is
1. AL protein
2. â2 microglobulin
3. â-amyloid protein
4. Transthyretin

Correct answer: 4. Transthyretin